Dodd's perforator is present between ?
1. Short saphenous and femoral veins
2. Short saphenous and great saphenous veins
3. Great saphenous and femoral veins
4. None of the above

Correct answer: 3. Great saphenous and femoral veins

Explanation: Ans. is'c' i.e.,Great saphenous and femoral veinsA. Spheno-femoral perforators (between great-saphenous and femoral vein)Huntarian perforator ->In mid thigh (In adductor canal)Dodd's perforator In distal thighB. Boyd's perforator (kee perforator) 4 Just below knee between great saphenous and posterior tibial vein.C. Cockett Perforators (medial ankle or lower leg perforators) : Between posterior arch vein and posterior tibial vein ?Cockett I (Lower medial) - Behind and below medial malleolusCockett II (Middle medial) - Between Cockett I & III (10 cm above medial malleolus)Cockett III (Upper medial) - At junction of middle and lower third of leg (15 cm from medial malleolus).D. Lateral ankle perforator: Between short saphenous vein and peroneal vein. At junction of middle and lower third of leg.